Decreased vascularity of fibroid is seen with
1. GnRH agonist
2. Danazol
3. Mifepristone
4. Clomiphene citrate

Correct answer: 1. GnRH agonist

Explanation: GnRH analogues used for 6months reduce the size by 50-80%. It is also useful in reducing the vascularity besides size preoperatively and thus causing amenorrhoea which restores hb level. Ref:shaw's textbook of gynaecology;15th edition; Pg :359